Which of the following drug is not used against pseudomonas?
1. Piperacillin
2. Carbenicillin
3. Ticarcillin
4. Oxacillin

Correct answer: 4. Oxacillin

Explanation: Because community-associated methicillin-resistant Staphylococcus aureus (CA-MRSA) causes more than one half of all staphylococcal infections in most communities, empiric therapy with penicillins or cephalosporins may be inadequate. Some experts recommend combination therapy with a penicillinase-resistant penicillin or cephalosporin (in case the organism is methicillin-sensitive S aureus)and clindamycin or a quinolone. Others suggest use of clindamycin, trimethoprim-sulfamethoxazole (TMP-SMX), rifampin, doxycycline, or a quinolone. Finally, because of concerns about induction of resistance, some recommend using TMP-SMX and rifampin in combination, rather than singly. As data accumulate, clindamycin may become the preferred outpatient antibiotic therapy (compared with TMP-SMX) in regions with a relatively low incidence of clindamycin resistance.Recently, treatment guidelines have been published. USES: Staphylococcal Infections Mild to moderate infections: 250-500 mg IV/IM q4-6hr Severe infections: 1 g IV/IM q4-6hr Acute/chronic osteomyelitis/staphylococci infections: 1.5-2 g IV q4-6hr Renal Infection CrCl < 10 mL/min: May consider adjusting to the lower range of the usually recommended dose depending on severity of infection REFERENCE: www.medscape.com